Blackening of urine on exposure to atmosphere is observed in:
1. Phenylketonuria
2. Maple syrup urine disease
3. Hartnup disease
4. Alkaptonuria

Correct answer: 4. Alkaptonuria

Explanation: Alkaptonuria/Black urine disease/AlcaptonuriaIt is a rare inherited genetic disorder of phenylalanine and tyrosine metabolism.This is an autosomal recessive condition that is due to a defect in the enzyme homogentisate 1,2-dioxygenase, which participates in the degradation of tyrosine.As a result, homogentisic acid and its oxide, called alkapton, accumulate in the blood and are excreted in urine in large amounts (hence -uria).Excessive homogentisic acid causes damage to cartilage (ochronosis, leading to osteoarthritis) and heart valves as well as precipitating as kidney stones.Treatment with nitisinone, which suppresses homogentisic acid production, is being studied